Subependymal calcified nodules are seen in -
1. Sturge Weber syndrome
2. Tuberous sclerosis
3. Neurofibromatosis 2
4. Von Hippel Lindau syndrome

Correct answer: 2. Tuberous sclerosis

Explanation: Ans. is 'b' i.e., Tuberous sclerosis